Intravenous fluid of choice in management of diabetic ketoacidosis
1. Normal saline
2. Colloids
3. 5% dextrose
4. Dextran - 70

Correct answer: 1. Normal saline

Explanation: Answer-A. Normal salineTreatment of DKA1. InsulinA bolus of IV IM short acting insulin (regular insulin) should be given immediately to reduce blood glucose level'Subsequent treatment should piovide continuous and adequate level ofcirculating insulin'2. IV fluidDue to vomiting, osmotic diuresis and hyperventilation, there is dehydration and Na. deficit in DKA which should be treated by iv saline infusion.Normal saline (0.9% saline) k the fluid of choice3. KCI4. Sodium bicarbonate5. Magnesium and phosphate